Acetazolamide decreases intraocular pressure by what mechanism:
1. Decreases aqueous humor production
2. Decreases vitreous volume
3. Increased drainage of aqueous
4. None of the above

Correct answer: 1. Decreases aqueous humor production

Explanation: Ans. A: Decreases aqueous humor production Acetazolamide is a carbonic anhydrase inhibitor, which means that it forces the kidneys to excrete bicarbonate (HCO;), thus re-acidifying the blood. It also lowers intraocular tension by decreased formation of aqueous humour (It is rich in bicarbonate)